Advantages of split skin thickness graft are all except
1. No contracture
2. Wide area of recipient can be covered
3. Donor area heals on its own
4. Graft take up is good

Correct answer: 1. No contracture

Explanation: Contracture of graft is known to occur in split thickness skin graft.